Which of the following signs is not suggestive of a cervical spinal cord injury :
1. Flaccidity
2. Increased rectal sphincter tone
3. Diaphragmatic breathing
4. Priapism

Correct answer: 2. Increased rectal sphincter tone

Explanation: Answer is B (Increased Rectal Sphincter tone): Cervical spinal cord injury is associated with a decreased rectal sphincter tone (and not an increased rectal sphincter tone).